Which of the following is sensory layer of retina?
1. Rods & Cones
2. Ganglion layer
3. Amacrine cell layer
4. Retinal pigment epithelium

Correct answer: 1. Rods & Cones

Explanation: ANSWER: (A) Rods & ConesREF; Ganong's 22nd ed chapter 8The layer of rods and cones which are sensory receptors form the sensory layer of retina. The primary layers of the retina from outermost surface to innermost surface:* Pigment epithelium - supporting cells for the neural portion of the retina (photopigment regeneration, blood) it is also dark with melanin which decreases light scatter within the eye.Rod and cone layer/Bacillary layer,Layer of photoreceptor cells - contains the outer segments and inner segments of the rod and cone photoreceptors.Outer limiting membrane -Outer Nuclear Layer (ONL) - cell bodies of rods 8i conesOuter Plexiform Layer (OPL) - rod and cone axons, horizontal cell dendrites, bipolar dendritesInner Nuclear Layer (INL) - Nuclei of horizontal, bipolar and amacrine cellsInner Plexiform Layer (IPL) - axons of bipoiars (and amacrines), dendrites of ganglion cells << Layer of Ganglion cells (GCL)- Nuclei of the ganglion cells and displaced amacrine cellsLayer of optic nerve fibers - fibers from ganglion cells traversing the retina to leave the eyeball at the opticdisk.Remember, the optic nerve leaves the eye and the retinal blood vessels enter it at a point 3 mm medial to and slightly above the posterior pole of the globe. This region is visible through the ophthalmoscope as the optic disk. There are no visual receptors over the disk, and consequently this spot is blind (the blind spot).